A 19 year old boy suffering from chronic schizophrenia is put on haloperidol in the dose of 20 mg/day. A week after the initiation of medication the patient shows be restlessness, fidgety, irritability and cannot sit still at one place. The most appropriate treatment strategy is:
1. Increase in the dose of haloperidol
2. Addition of anticholinergic drug
3. Addition of betablocker
4. Adding another antipsychotic drug

Correct answer: 3. Addition of betablocker

Explanation: C i.e. Addition of B blocker